A 75–year old patient presents with deterioration of vision. On examination the pupillary reflex is observed to be sluggish and the Intraocular pressure is normal. Optic disc evaluation shows a large and deep cup and primarily shows paracentral scotomas. The most likely diagnosis is –
1. Primary Narrow Angle glaucoma
2. Normal Tension Glaucoma
3. Neovascular Glaucoma
4. Absolute Glaucoma

Correct answer: 2. Normal Tension Glaucoma

Explanation: Glaucomatous cupping (large and deep cup) along with glaucomatous visual field defect (paracentral scotomas are the most frequent) in a patient with normal intraocular pressure suggest a diagnosis of Normal Tension Glaucoma (NTG).